True aboutArboviruses is -
1. Yellow fever is endemic in India
2. Dengue has only one serotype
3. KFD was first identified in West Bengal
4. Chikungunya is transmitted by Aedes aegypti

Correct answer: 4. Chikungunya is transmitted by Aedes aegypti

Explanation: Ans is 'd' i.e. Chikungunya is transmitted by Aedes aegypti